All can be seen as Post-Diarrhoea complications except:
1. HUS
2. Nephritic syndrome
3. Reactive arthritis
4. Guillain Barre syndrome

Correct answer: 2. Nephritic syndrome

Explanation: Complications of Chronic diarrhea * Lactase deficiency * Small-bowel bacterial overgrowth * Malabsorption syndromes (tropical and celiac sprue) * Initial presentation or exacerbation of inflammatory bowel disease * Irritable bowel syndrome * Reactive arthritis (formerly known as Reiter's syndrome) * Hemolytic-uremic syndrome (hemolytic anemia, thrombocytopenia, and renal failure) * Guillain-Barre syndrome